Which of the following wax coating is present on dental floss?
1. Besswax
2. Spermaceti wax
3. Japan Wax
4. Carnauba Wax

Correct answer: 2. Spermaceti wax